Police inquest is done in all except -
1. Suicidal death
2. Homicidal death
3. Dowry death
4. Accidental death

Correct answer: 3. Dowry death

Explanation: Ans. is 'c' i.e., Dowry deatho In dowry death, magistrate inquest is carried out.Police inquest (See 174 CrPC)o It is the commonest type of inquest in India. It is inferior to other types inquest. Police inquest is carried out by a police officer, not below the rank of head constable (usually a sub-inspector). Such police officer (PO) is known as investigating officer (IO). After informing the nearest executive magistrate, he goes to the place of offence and conducts the inquest. In presence of two or more respectable inhabitants (panchas), then prepare the report of the apparent cause of death (Panchnama) signed by IOand witnesses. If no foul play is suspected, the body is handed over to the relatives, otherwise body is sent for postmortem examination to find out the cause of death. IO (police) may summon the person, the summoned person is bounded to attend and answer questions. Refusal to answer questions by the police is punishable under section 179 IPC. Police inquest is done inDeath by sucideDeath by killing by another person (murder) or an animal or machineryDeath by accidentDeath under circumstances raising a reasonable suscpicion that some other person has commited an offence.Magistrate inquest (Sec 176, CrPC)o Magistrate's inquest is carried out by an executive magistrate, district magistrate (DM) or sub-divisional magistrate (SDM). It is done in cases ofDeath in prison, reformatories, Brostal school.Death in police custody, while under police interrogation.Death due to police firing.Dowry death, i.e. death of a married female less than 30 years of age or death within 7 years of marriage.Exhumation.Death in pscychiatry hospital.Any person dies or disappears, or rape is alleged to have been committed on any woman, while such person or woman is the custody of police or any other custody authorized by court (Sections 174(4), 176 and 176, 1-A CrPC).